H. pylori is known to cause all of the following except:
1. Gastric ulcer
2. Duodenal ulcer
3. Gastric lymphoma
4. Fundal atrophic gastritis

Correct answer: 4. Fundal atrophic gastritis

Explanation: Answer is D (Fundal atrophic gastritis): Gastritis due to H. pylori infection is predominantly Antral, not fundal. Antral gastritis is associated with DU formation. Gastritis involving the corpus is also seen and this predisposes to development of gastric ulcer, gastric atrophy and ultimately gastric carcinoma. Fundal atrophic gastritis has not been mentioned.